Ash leaf maculae is found in -
1. Tuberous sclerosis
2. Neurofibromatosis
3. Lymphangioma
4. None

Correct answer: 1. Tuberous sclerosis

Explanation: ash leaf shaped macules and hypopigmented macules are seen in 90% cases of tuberous sclerosis.It is autosomal dominant , Neurocutaneous disorder , Characterised by triad of epilepsy, low intelligence and adenoma sebaceum IADVL textbook of dermatology page 136